True about decorticate rigidity ?
1. Removal of cerebral cortex and basal ganglia
2. Flexion of lower limbs & extension of upper limbs
3. Rigidity is less pronounced than decerebrate rigidity
4. None of the above

Correct answer: 3. Rigidity is less pronounced than decerebrate rigidity

Explanation: Ans. is 'c' i.e., Rigidity is less pronounced than decerebrate rigidityA decorticate rigidity is made by removing the whole cerebral cortex but leaving the basal ganglia intact.Decorticate rigidity is characterized by flexion of upper extrimities at elbow and extension of lower extrimities.The flexion is due to rubrospinal tract excitation of flexors in the upper extrimities and hyperextension of the lower extermity has same mechanism as in decerebrate rigidity.The decorticate animal does not have such intense hypertonia as decerebrate animal.This is because the basal ganglia, which are intact in the decorticate animal, activate the descending inhibitory reticular formation, and thereby prevent excessive hypertonia.